Which of the following is not true about bosentan
1. Used in pulmonary hypertension
2. Used in malignant hepatitis
3. Endothelin receptor antagonist
4. All are true

Correct answer: 2. Used in malignant hepatitis

Explanation: Ans. is 'b' i.e., used in malignant hepatitis Endothein receptor antagonists There are two endothelin receptor subtypes - ETA and and ETB. Bosentan is a nonselective endothelin antagonist - blocks both ETA and ETB. Bosentan is active intravenously and orally. Bosentan is currently approved for use in pulmonary hypertension. Tezosentan another nonselective antagonist is used investigation for the treatment of acute heart failure. Sitaxentan and ambrisentan are selective ETA antagonists. Phosphoramidon inhibits formation of endothelin by inhibiting endothelin converting enzyme. Remember Bosentan can cause severe hepatotoxicity - monthly liver function tests should be done. It is contraindicated in pregnancy.